Secondary torticollis may develop as a result of all the following except
1. Skin scarring usually following burns
2. Vertebral injuries
3. Prolapsed intervertebral disc
4. Sacroiliitis

Correct answer: 4. Sacroiliitis

Explanation: Other causes of secondary torticolis are tuberculosis, pyogenic infection, ankylosing spondylitis, osteoid osteoma, intraspinal tumours, intracranial tumours of the posterior fossa etc.